Pig in H1N1 influenza acts as?
1. Carrier
2. Amplifying host
3. Reservoir
4. Vector

Correct answer: 3. Reservoir

Explanation: Pig / swine is reservoir of H1N1 influenza. Reference; Park's Textbook of preventive and social medicine, 24th edition.Pg no. 164